Cause of repeated 2nd trimester foetal loss:
1. Chromosomal anomaly
2. Intrauterine infection
3. Abnormality of cervix and uterus
4. Hormonal imbalance

Correct answer: 3. Abnormality of cervix and uterus

Explanation: Common known causes of abortion:
First trimester: defective germ plasm, hormonal deficiency, trauma, acute infection.
Mid trimester: Cervical incompetence, uterine malformations, uterine fibroid, low implantation of placenta, twins and hydramnios